Commonest cause of colonic obstruction in neonates is:
1. Meconium ileus
2. Aganglionic colon
3. Ileal atresia
4. Volvulus

Correct answer: 2. Aganglionic colon

Explanation: Aganglionic colon is Commonest cause of colonic obstruction in neonates.